Reflex hallucination is a morbid variety of
1. Kinesthesia
2. Paresthesia
3. Hyperesthesia
4. Synaesthesia

Correct answer: 4. Synaesthesia

Explanation: Reflex hallucinations,also called Synaesthesia, is the experience of a stimulus in one sense modality producing a sensory experience in another. For example, the feeling of cold in one's spine on hearing a fingernail scratch a blackboard. Reference:Fish's Clinical Psychopathology, 3rd edition, page 27.